Endocrinologic factors associated with recurrent abortion include all of the following except-
1. Thyroid disease
2. Hyperprolactinemia
3. Luteal phase insufficiency
4. Reduced secretion of luteinizing hormone (LH)

Correct answer: 4. Reduced secretion of luteinizing hormone (LH)

Explanation: Endocrinologic factors associated with recurrent abortion include - Luteal phase insufficiency Diabetes mellitus Hypersecretion of luteinizing hormone (LH) Thyroid disease Insulin resistance Polycystic ovarian syndrome, Hyperprolactinemia Decreased ovarian reserve.